Transoesophageal Echocardiography is useful in
1. Sinus venosus type of ASD
2. Dissection of arch of aorta
3. Prosthetic valve endocarditis
4. All of the above

Correct answer: 4. All of the above